Sphenoid wing dysplasia is seen in -
1. Von Hippel Lindau's disease
2. Neurotibromatosis
3. Sturge Weber syndrome
4. Bournville's disease

Correct answer: 2. Neurotibromatosis

Explanation: Ans. is 'b' i.e., Neurofibromatosis Sphenoid wing dysplasia is seen in neurofibromatosis type I.